Following causes distension of abdomen-a) Hirschsprungsb) Hypokalemiac) Hyperkalemiad) Hypomagnesmia
1. acd
2. bcd
3. abc
4. abd

Correct answer: 4. abd